Which type of enlargement is seen in puberty?
1. Interdental papillae appear bulbous but facial gingiva is not affected
2. Interdental papillae and facial gingiva both are enlarged
3. Interdental gingiva, marginal gingiva and attached gingiva all are enlarged
4. Both marginal gingiva and attached gingiva are enlarged

Correct answer: 2. Interdental papillae and facial gingiva both are enlarged